Honey comb appearance on X-ray is seen in all except:
1. Wegener's granulomatosis
2. Histiocytosis-X
3. Tuberous sclerosis
4. Rheumatoid arthritis

Correct answer: 1. Wegener's granulomatosis

Explanation: Ans. Wegener's granulomatosis